Following can reduce the glomerular filtration rate (GFR) EXCEPT
1. Norepinephrine
2. Epinephrine
3. Endothelium derived nitrous oxide (EDRF)
4. Endothelin

Correct answer: 3. Endothelium derived nitrous oxide (EDRF)

Explanation: Ans. c. (Endothelium derived nitrous oxide (EDRF) (Ref. Guyton physiology 11th/320; 322; Table 26-4)Hormones and Autacoids That Influence Glomerular Filtration Rate (GFR)Hormone or AutacoidEffect on GFRNorepinephrine|Epinephrine|Endothelin|Angiotensin II(prevents -|)Endothelial-derived nitric oxide|Prostaglandins|FACTORS THAT CAN DECREASE THE GLOMERULAR FILTRATION RATE (GFR)Physical DeterminantsPhysiologic/Pathophysiologic Causes|Kf (glomerular filtration coefficient) > |GFRRenal disease, diabetes mellitus, hypertension| PB (Bowman's capsule hydrostatic pressure) > |GFRUrinary tract obstruction (e.g., kidney stones)pG (glomerular capillary colloid osmotic pressure) > |GFR|PG (glomerular capillary hydrostatic pressure) > |GFR| Renal blood flow, plasma proteins|AP > |PG| Arterial pressure (has only small effect due to autoregulation)|- RE > | PG| Angiotensin II (drugs that block angiotensin II formation)| RA > -|PG| Sympathetic activity, vasoconstrictor hormones (e.g., norepinephrine, endothelin)